Intervertebral disc is an example of which category of cartilages?
1. Hyaline cartilage
2. Fibro cartilage
3. Elastic cartilage
4. Fibroelastic cartilage

Correct answer: 2. Fibro cartilage

Explanation: Intervertebral disc is a type of fibrocartilage. Fibrocartilage is characterized by large amount of irregular and dense bundles of collagen fibers in the matrix. It consists of alternating layers of cartilage matrix and thick dense layers of type I collagen fibers.